All are true about cryptococcus except -(
1. Polysaccharide capsule
2. Reproduces by budding
3. Pseudohyphae
4. All

Correct answer: 3. Pseudohyphae

Explanation: Ans. is 'c' i.e., Pseudohyphae Cryptococcus is a yeast, it does not form mycelium or pseudomycelium. Pseudomycelium is formed by yeast like fungi eg, candida. True mycelia are formed by moulds or filamentous fungi eg : dermatophytes. About other options Cryptococcus has polysaccharide capsule. It reproduces by simple budding.